All of the following are Neuronal tumors, EXCEPT:
1. Gangliocytoma
2. Ganglioglioma
3. Neurocytoma
4. Ependymoma

Correct answer: 4. Ependymoma

Explanation: Ependymomas make up about 5% of adult intracranial gliomas and up to 10% of childhood tumors of the central nervous system (CNS). Their occurrence seems to peak at age 5 years and then again at age 35. They develop from cells that line both the hollow cavities of the brain and the canal containing the spinal cord, but they usually arise from the floor of the fourth ventricle, situated in the lower back portion of the brain. Ref: Robbins pathologic basis of disease 6th Edition, Page 1348.